Which of the following drug can cause cartilage damage in children ?
1. Cotrimoxazole
2. Penicillin
3. Ciprofloxacin
4. Metronidazole

Correct answer: 3. Ciprofloxacin